After contrast media injection in the Radiology department, a patient develops severe Hypotension, bronchospasm and cyanosis. Which one of the following drugs should be used for treatment
1. Atropine
2. Aminophylline
3. Dopamine
4. Adrenaline

Correct answer: 4. Adrenaline